Common age of presentation of Henoch schnolein purpura-
1. < 10 years
2. 10-15 years
3. 15-20 years
4. 20-30 years

Correct answer: 1. < 10 years

Explanation: IgA vasculitis is most often seen in children. Most patients range in age from 4to7 years . Disease may also be seen in infants and adults. Male to female ratio is 1.5:1 A seasonal variation with a peak incidence in spring has been noted Ref Harrison 20th edition pg no 2586